Morbid jealousy is associated with -
1. Alcohol
2. Heroin
3. LSD
4. Charas

Correct answer: 1. Alcohol

Explanation: Ans. is 'a' i.e., Alcohol o Morbid jeolousy with delusions of infidelity about wife (othello syndrome) is extremely common in alcoholism. Morbid jealousy can also occur in schizophrenia, manic phase of bipolar illness, OCD, depression or anxiety disorder.